A 22-year-old female who wanted to lose weight presents to hospital complaining of diarrhea, palpitation, anxiety and abdominal pain. She mentioned taking an unknown medication which was prescribed to someone else. Which of the following drug is most likely responsible for patient presentation?
1. Propylthiouracil (PTU)
2. Iodide
3. Methimazole
4. Levothyroxine

Correct answer: 4. Levothyroxine

Explanation: Levothyroxine Binds to nuclear receptor Excessive level of Levothyroxine can cause thyrotoxicosis, Symptoms include diarrhea, palpitation, tachycardia and weight loss. Levothyroxine is a synthetic form of thyroxine that is used to treat hypothyroidism NOTE : Women with hypothyroidism should increase their levothyroxine dose during pregnancy atleast by 30 percentto maintain maternal euthyroidism for normal fetal cognitive development Drugs used to treat Hyperthyroidism: PTU inhibits synthesis of T4 and peripheral conversion of T4 to T3. Iodide inhibits the synthesis of thyroid hormone and release of preformed thyroid hormone. Methimazole inhibit the addition of iodine to thyroglobulin by enzyme thyro-peroxidase.